IPC section 377 describes
1. Defines rape
2. Describes punishment for rape
3. Unnatural sexual offences
4. Assault

Correct answer: 3. Unnatural sexual offences

Explanation: Ans. is 'c' i.e., Unnatural sexual offences Rape and other sexual offences and assault* 228IPC: Prohibits disclosure of identity of rape victim.* 375 IPC: Defining rape.* 376 IPC: Punishment for rape (7 years to life imprisonment +- fine).* 376-A IPC: Punishment for marital rape (2 years imprisonment +- fine).* 377 IPC: Unnatural sexual offences (10 years to life imprisonment +- fine).* 354 IPC: Assault or criminal force to woman with intent to outrage her modesty.* 366-A IPC: Procuration of minor girl for illicit intercourse.* 351 IPC: Defines assault.* 352-358 IPC: Punishment for causing assault.* 509 IPC: Word, gesture or act intended to insult the modesty of a women.